Mites are the vectors of the following diseases except-
1. Scabies
2. Scrub typhus
3. Rickettsia pox
4. Kyasanur forest disease

Correct answer: 4. Kyasanur forest disease

Explanation: Ans. is 'd' i.e., Kyanasur Forest disease